True statement about fatty acid:
1. Polyunsaturated FA is essential for membrane structure
2. Biologically arachidonic acid is essential to life
3. Hydrogenated vegetable oils contains Trans fatty acid
4. All

Correct answer: 4. All

Explanation: C, B, > A i.e. (Hydrogenated vegetable oils contains Trans fatty acid; Biologically arachidonic acid is essential to life >Polyunsaturated FA is essential for membrane structure)